DOC for nephrogenic diabetes insipidus:
1. Mannitol
2. Spironolactone
3. Thiazides
4. Demeclocycline

Correct answer: 3. Thiazides

Explanation: Ref: Goodman & Gillman's 13th ed. P 466* Nephrogenic DI may be congenital or acquired. Causes can be:# Hypercalcemia, hypokalemia, post obstructive renal failure, Li+, foscarnet, clozapine, demeclocycline, and other drugs can induce nephrogenic DI.* Thiazide diuretics reduce the polyuria of patients with DI and often are used to treat nephrogenic DI.* DOC for central diabetes insipidus: Desmopressin (V2 receptor agonist)* DOC for nephrogenic diabetes insipidus: Thiazide diuretics.* DOC for lithium induced diabetes insipidus: Amiloride